Centrally acting sympatholytic agent used as antihypertensive agent is
1. Propanolol
2. Clonidine
3. Prazosin
4. Phenoxybenzamine

Correct answer: 2. Clonidine

Explanation: Refer kDT 6/e p540 Clonidine, sold as the brand name Catapresamong others, is a medication used to treat high blood pressure, attention deficit hyperactivity disorder, drug withdrawal(alcohol, opioids, or smoking), menopausal flushing, diarrhea, and certain pain conditions. It is used by mouth, by injection, or as a skin patch. Onset of action is typically within an hour with the effects on blood pressure lasting for up to eight hours